Inclusions in oligodendrogliocytes is a feature of
1. Creutzfeldt-Jakob disease
2. CIDP
3. HSV
4. Progressive multifocal leukoencephalopathy

Correct answer: 4. Progressive multifocal leukoencephalopathy

Explanation: Harrison's principles of internal medicine 17th edition. Pg 1249*Oligodendrocytes have enlarged,densely staining nuclei that contain viral inclusions formed by crystalline arrays of JC virus particles.